Biomedical waste mixing with Cement is known as:
1. Incineration
2. Inertization
3. Vermicomposting
4. Microwaving

Correct answer: 2. Inertization

Explanation: Inertization: Process: Mixing biomedical waste with cement and other substance before disposal, so as to minimize risk of toxic substances contained in waste to contaminate ground / surface water. Inertization is especially suitable for pharmaceuticals and for incineration ashes with high metal content . EXTRA EDGE: - Hepatitis-B & Tetanus vaccines are recommended in health care workers handling biomedical waste. - Health check-up should be done yearly for these workers & booster doses are given if required.